Which one of the following drugs may precipitate gout -a) Ethambutolb) Isoniazidc) Pyrazinamided) Rifampicin
1. a
2. bc
3. ad
4. ac

Correct answer: 4. ac